Modern diagnostic aid to diagnose ectopic pregnancy:a) HCGb) Transvaginal USGc) AFPd) Gravindex
1. ac
2. a
3. ad
4. ab

Correct answer: 4. ab